All are angiographic findings of Thromboangitis obliterans except
1. Cork screw vessels
2. Rippled ertery
3. Constricted vasa vasorum
4. Spider Leg collaterals

Correct answer: 3. Constricted vasa vasorum

Explanation: In TAO(Buerger disease), there is dilatation of vasa vasorum that gives corkscrew appearance to vessels.